High plasma protein binding of a drug results in
1. Less drug interaction
2. High volume of distribution
3. Decreased glomerular filtration
4. Lowers duration of action

Correct answer: 3. Decreased glomerular filtration

Explanation: * Most drugs bind to plasma proteins in a reversible fashion without translating into a pharmacological response. (Plasma proteins are hence called Silent Receptors) * Acidic drugs bind to Albumin, Basic drugs to alpha1 acid- glycoprotein. * Binding of the drug to plasma protein affects the pharmacokinetic handling of drug by the body. Ref:- HL & KK Sharma's Principles of Pharmacology 3rd Ed; Pg Num:- 48